The best investigation to diagnose a case of acoustic neuroma is:
1. Gadolinium enhanced MRI
2. CT scan
3. Audimetric analysis
4. PET scan

Correct answer: 1. Gadolinium enhanced MRI

Explanation: A i.e., Gadolinium enhanced MRI